ECT is not useful in treatment of
1. Chronic Schizophrenia
2. Catatonic Schizophrenia
3. Endogenous depression
4. Acute psychosis

Correct answer: 1. Chronic Schizophrenia

Explanation: A i.e. Chronic schizophrenia